Which of the following is a marker for Neural Tube Defects
1. Phosphatidylesterase
2. Pseudocholinesterase
3. Acetylcholinestarase
4. Butyrylcholinesterace

Correct answer: 3. Acetylcholinestarase

Explanation: Test of amniotic fluid includes acetylcholine esterase and alfha feto protein level in maternal blood is increased Image : types of neural tube defe Ref Ghai pediatrics eighth edition pg no 576